Goodpasture's syndrome is characterised by :
1. Necrotising haemorrhagic interstitial pneumonitis
2. . Alveolitis
3. Patchy consolidation
4. Pulmonary oedema

Correct answer: 1. Necrotising haemorrhagic interstitial pneumonitis

Explanation: Necrotising haemorrhagic interstitial pneumonitis Goodpasture's syndrome is an uncommon autoimmune disease. It shows presence of circulating autoantibiodies against non collagenous domain at a-3 chain of collagen IV. These antibodies initiate inflammatory distruction at basement membrane in glomeruli & lung alveoli, giving rise to RPGN & necrotising haemorrhagic interstitial pneumonitis.